False about malignant melanoma of choroid
1. Most common primary intraocular tumour of the adults
2. Commonly seen in 3rd decade of life
3. Derived from neural crest
4. Associated with vitreous hemorrhage

Correct answer: 2. Commonly seen in 3rd decade of life

Explanation: Commonly seen between 6th and 9th decade of life.